35-year-old woman presents to OPD with complains of headache after hitting her head accidentally with the wall while doing household chores . An MRI was ordered which confirmed presence of blood clot in the great cerebral vein of Galen. Obstructed vein is a direct tributary of which of the following venous structures?
1. Emissary veins
2. Pterygoid venous plexus
3. Diploic veins
4. Dural venous sinuses

Correct answer: 4. Dural venous sinuses

Explanation: Veins of the brain are direct tributaries of dural venous sinuses. Emissary veins connect dural venous sinuses with the veins of scalp; Pterygoid venous plexus communicates with cavernous sinus through an emissary vein; Diploic veins lie in channels in the diploe of skull and communicate with dural sinuses, veins of scalp, and meningeal veins.